Hematuria with dysmorphia RBC 's are seen in
1. Acute glomerulonephritis
2. Renal TB
3. Renal calculi
4. Chronic renal failure

Correct answer: 1. Acute glomerulonephritis

Explanation: Ref Robbins 9/e p898 The onset of the kidney disease tends to be abrupt, her- alded by malaise, a slight fever, nausea, and the nephritic syndrome. In the usual case, oliguria, azotemia, and hyper- tension are only mild to moderate. Characteristically, there is gross hematuria, the urine appearing smoky brown rather than bright red. Some degree of proteinuria is a constant feature of the disease, and as mentioned earlier it occasionally may be severe enough to produce the nephrotic syndrome. Serum complement levels are low during the active phase of the disease, and serum anti-streptolysin O antibody titers are elevated in poststreptococcal cases. Dysmorphia of RBC is also seen